Tyrosine utilized in synthesis of all except -
1. Melanin
2. Melatonin
3. Dopamine
4. Thyroxine

Correct answer: 2. Melatonin

Explanation: Ans. is 'b' i.e., Melatonin o Dopamine b-hydroxylase is a 'copper ' containing monooxygenase that requires ascorbic acid and molecular oxygen.o It catalyzes the formation of norepinephrine.